Most common extra-cranial complication of ASOM is -
1. Facial nerve paralysis
2. Lateral sinus thrombosis
3. Mastoiditis
4. Brain abscess

Correct answer: 3. Mastoiditis